An investigator finds out that 5 independent factors influence the occurrence of a disease. Comparison of multiple factors that are responsible for the disease can be assessed by
1. Multiple logistic regression
2. Multiple linear regression
3. Chi-square test
4. ANOVA

Correct answer: 1. Multiple logistic regression

Explanation: • ANOVA: Analysis of Variance is a parametric test used for polyotomous independent variable
• Chi-square test: Is non-parametric test used for testing association between 2 or more qualitative variables
• Multiple linear regression: Is used if the target variables are dimensional having multiple possible values (e.g. blood pressure, serum cholesterol, body temperature)
• Multiple logistic regression: Is used if the target variables are binary having only two possible values (e.g. hypertension, smoking, geriatric age group)